Haemophilia B is due to mutation of gene corresponding to factor?
1. Factor 8
2. Factor 9
3. Factor 7
4. Factor 11

Correct answer: 2. Factor 9